All are seen in primary adrenocortical deficiency except
1. Hyperpigmentation
2. Hypertension
3. Hyperkalemia
4. Hyponatremia

Correct answer: 2. Hypertension

Explanation: (B) Hypertension# Adrenal Insufficiency:> Adrenal insufficiency is a condition in which the adrenal glands, located above the kidneys, do not produce adequate amounts of steroid hormones (chemicals produced by the body that regulate organ function), primarily cortisol, but may also include impaired aldosterone production (a mineralcorticoid) which regulates sodium, potassium and water retention> Symptoms: The person may show symptoms of hypoglycemia, dehydration, weight loss and disorientation. They may experience weakness, tiredness, dizziness, low blood pressure that falls further when standing (orthostatic hypotension), muscle aches, nausea, vomiting, and diarrhea.> Diagnosis:> If the person is in adrenal crisis, the ACTH stimulation test may be given. If not in crisis, cortisol, ACTH, aldosterone, renin, potassium and sodium are tested from a blood sample before the decision is made if the ACTH stimulation test needs to be performed.> Electrolyte abnormalities are as follows:> Hypoglycemia, Hyponatremia, Hyperkalemia, Hypercalcemia